Ca cervix IIIB is treatment of choice is-
1. Radiotherapy
2. Chemotherapy
3. Chemoradiation
4. Surgery

Correct answer: 3. Chemoradiation

Explanation: Ans. is 'c' i.e., Chemoradiation